Child acquires antibody against ABO antigen at which age
1. At birth
2. 6 Months
3. 2 Years
4. 5 Years

Correct answer: 2. 6 Months

Explanation: Ans. is 'b' i.e., 6 Months